False about External Jugular vein
1. It is deep to Platysma
2. Formed by anterior division of retromandibular vein and posterior auricular vein
3. It crosses Sternocleidomastoid
4. It drains into Subclavian vein

Correct answer: 2. Formed by anterior division of retromandibular vein and posterior auricular vein

Explanation: The posterior division of the retromandibular vein unites with the posterior auricular vein to form the external jugular vein which ultimately drains into the subclavian vein.The external jugular vein crosses the sternocleidomastoid obliquely, running downwards and backwards from near the auricle to the clavicle.Reference: Chourasia; 6th edition; 86th page